Which of the following is the most common etiological agent in parNasal sinus mycoses:
1. Aspergillus
2. Histoplasma
3. Conidiobolus coronatus
4. Candida albicans

Correct answer: 1. Aspergillus

Explanation: Most common type of fungal infection of nose and paranasal sinuses are due to aspergillus. A.fumigatus>A.niger>A.flavus are the most frequent offenders. Ref Maqbool 11/e,p 255.